All of the following statements about digitoxin are true except -
1. Excretion is mainly renal
2. Oral absorption is good
3. Actively metabolized in liver
4. Lipid soluble

Correct answer: 1. Excretion is mainly renal